Regarding Cephalohematoma, all the following are true Except
1. It is a Subperiosteal Haemorrhage
2. It may extend across the midline and cross suture lines
3. Occurs in 1-2% of live births
4. Underlying skull fracture may be associated with 10-25% cases

Correct answer: 2. It may extend across the midline and cross suture lines

Explanation: Cephalohematoma is a subperiosteal hemorrhage, hence always limited to the surface of one cranial bone. Cephalohematomas occur in 1-2% of live births. No discoloration of the overlying scalp occurs, and swelling is not usually visible for several hours after birth because subperiosteal bleeding is a slow process. The lesion becomes a firm tense mass with a palpable rim localized over one area of the skull. Most cephalohematomas are resorbed within 2 wk-3 months, depending on their size. An underlying skull fracture, usually linear and not depressed, may be associated with 10-25% of cases. A sensation of central depression suggesting but not indicative of an underlying fracture or bony defect is usually encountered on palpation of the organized rim of a cephalohematoma. Cephalohematomas require no treatment, although phototherapy may be necessary to treat hyperbilirubinemia. Infection of the hematoma is a very rare complicationReference: Nelson Textbook of Paediatrics; 20th edition; Nervous System Disorders